Desmopressin is a synthetic analog of ADH. It is preferred over arginine vasopressin in the treatment of diabetes insipidus for all of the following reasons EXCEPT:
1. It is a more potent antidiuretic
2. It is a selective vasopressin V1 receptor agonist
3. It has a little vasoconstrictor activity
4. It is longer acting

Correct answer: 2. It is a selective vasopressin V1 receptor agonist

Explanation: Vasopressin can act on V1 and V2 receptors whereas desmopressin is a selective V2 receptor agonist. Desmopressin: It is a more potent antidiuretic It is longer acting It has a little vasoconstrictor activity